Colonic polyp that has maximum chance - of malignant change
1. Hyperplastic polyp
2. Adenomatous polyp
3. Juvenile polyp
4. polyp of peutz- Jegher syndrome

Correct answer: 2. Adenomatous polyp

Explanation: Familial Polyposis Coli(Adenomatosis) This hereditary disease is defined as the presence of more than 100 neoplastic polyps (adenomas) on the mucosal surface of the colon; the average number is about 1000 Adenomatosis can be distinguished from multiple adenomas in which the number of adenomas is fewer, not exceeding 100. The condition has autosomal dominant transmission and is due to germline mutations in APC gene which results in occurrence of hundreds of adenomas which progress to invasive cancer. The average age at diagnosis is 2nd and 3rd decades of life with equal incidence in both the sexes. The malignant potential of familial polyposis coli is very high. Colorectal cancer develops virtually in 100% of cases by age of 50 years if not treated with colectomy. TEXTBOOK OF PATHOLOGY 6TH EDITION HARSH MOHAN PAGE NO:585 IMAGE REF: https://images .app.goo.gl/bpyyV6uNe6ZgcAKm7